Hecht's pneumonia is a complication of
1. Measles
2. Mumps
3. AIDS
4. Mycoplasma

Correct answer: 1. Measles

Explanation: Hecht's pneumonia is  a giant cell pneumonia in immunodeficient people,rare complication of measles.